Shock lung is characterized by:
1. Alveolar proteinosis
2. Bronchiolitis obliterans
3. Diffuse pulmonary hemorrhage
4. Diffuse alveolar damage

Correct answer: 4. Diffuse alveolar damage

Explanation: . Diffuse alveolar damage